Raynaud's phenomenon is seen in -  a) Scleroderma  b) Reiter 's disease   c) Rheumatoid arthritis   d) Behcet's syndrome  e) Mixed connective tissue disease
1. ace
2. acd
3. abc
4. cde

Correct answer: 1. ace